Colistin is obtained from ?
1. Bacteria
2. Fungi
3. Actinmycetes
4. Herbs

Correct answer: 1. Bacteria

Explanation: Ans. is 'a' i.e., Bacteria Amongst the given options no drugs is obtained from fungus. Antibiotics are obtained from - 1. Fungi - Penicilllin, Cephalosporin, Griseofulvin. 2.Bacteria - Polymyxin B, Colistin, Bacitracin, Tyrothricin, aztreonam. 3. Actinomycetes - Aminoglycosides, Tetracyclines, Chloramphenicol, macrolides, Polyenes.